63 year old patient with history of tachy-arrythmias is on implantable cardioverter defibrillator. The patient develops shock suddenly. Which of the following is best investigation to know position and integrity of ICD?
1. Plain radiograph
2. MRI
3. USG
4. Contrast CT

Correct answer: 1. Plain radiograph

Explanation: Contrast CT is IOC in ICD as MRI is C/I in implantable cardioverter defibrillator. Absolute C/I of MRI Cardiac pacemakers Metallic prosthetic heart valves Cochlear implant Aneurysmal clip Ocular metallic foreign body (IOC is CT) But the patient developed shock, so immediate investigation could be a plain radiograph rather than CECT Scan.